Boutonniere deformity involves:
1. Flexion at PIP and DIP joint
2. Extention at PIP and DIP joint
3. Flexion at PIP and extention at DIP joint
4. Extention at PIP and flexion at DIP joint

Correct answer: 3. Flexion at PIP and extention at DIP joint

Explanation: Boutonniere deformity involves: Flexion at PIP and extention at DIP joint seen in RA Other deformities in RA- Swan-neck deformity Z-deformity of thumb Ulnar deviation of fingers